Which of the following statements about ohrostatic proteinuria is true:
1. Seen in recumbent position
2. Is benign
3. Future risk of nephrotic syndrome
4. < 300 mg/day

Correct answer: 2. Is benign

Explanation: Answer is B (Is benign): Orthostatic proteinuria is believed to be benign condition and long term studies have shown that it is not associated with any renal disease. Orthostatic proteinuria Orthostatic proteinuria is defined as proteinuria occurring only in the upright position It is most commonly seen in children and young adults and its prevalence decreases with age Orthostatic proteinuria does not typically exceed 1gm/day ( Orthostatic proteinuria is a benign condition and may resolve spontaneously Orthostatic proteinuria is not associated with increase risk of any renal disease.